All the following genetic syndromes are associated with Wilm's tumor except
1. WAGR
2. Opsoclonus-myoclonus-ataxia syndrome
3. Denys Drash syndrome
4. Beckwith-Wiedemann syndrome

Correct answer: 2. Opsoclonus-myoclonus-ataxia syndrome

Explanation: Children with some genetic syndromes are predisposed to developing Wilms tumor. These include WAGR , Denys Drash syndrome (renal failure, renal mesangial sclerosis, male hermaphroditism, WTl missense mutation) and Beckwith-Wiedemann syndrome (hemihypertrophy, macroglossia, omphalocele, organomegaly, del llp15.5-WT2). Opsoclonus-myoclonus-ataxia syndrome is associated with neuroblastoma Opsclonus-myoclonus syndrome is a rare paraneoplastic disorder, often associated with malignancies including of childhood derived from the nervous system. Reference: Essential pediatrics; O.P.Ghai; Childhood Malignancies; Page no: 617